Pigs are reservoir for -a)  T. Soliumb) T. Saginatac) Trichinella spiralisd)  Ancyclostoma
1. a
2. bc
3. ac
4. b

Correct answer: 3. ac

Explanation: Both T. solium and Trichinella spiralis infection is acquired by ingestion of contaminated pork, (Pigs are reservoir hosts).